In facial nerve injury, loss of lacrimation is due to involvement of-
1. Chorda tympani nerve
2. Buccal nerve
3. Greater superficial petrosal nerve
4. Deep petrosal nerve

Correct answer: 3. Greater superficial petrosal nerve

Explanation: Ans. is 'c' i.e., Greater superficial petrosal nerve o In facial nerve injuryLoss of lacrimation Due to involvment of greater superficial petrosal nerve.Loss of stapedial reflex Due to involvement of nerve to stapedius.Lack of salivation Due to chordatympani.Loss of taste sensation from Anterior 2/3 of tongue: - due to chordatympani.Paralysis of muscle offacial expression Due to terminal (peripheral) branches.Hyperacusis (intolerance to loud noice) Due to involvement of nerve to stapedius (causing parolysis of stapedius).